Spur cell anemia is seen in -
1. Drug induced anemia
2. Hepatocellular disease
3. Renal disease
4. Alcoholism

Correct answer: 2. Hepatocellular disease